A plain X ray abdomen is performed in case of small bowel obstruction. Small bowel would be called dilated if its diameter is more than:
1. 2 cm
2. 3 cm
3. 4 cm
4. 5 cm

Correct answer: 2. 3 cm

Explanation: Normal bowel caliber: Small bowel- <3 cm Large bowel- <6 cm Caecum- <9 cm Thus, small bowel is called dilated if its caliber is >3 cm.